In emergency tracheostomy following structures are damaged except:
1. Isthmus of thyroid
2. Inferior thyoid vein
3. Inferior thyroid artery
4. Thyroid ima

Correct answer: 3. Inferior thyroid artery

Explanation: Structures which lie below the midline viz. isthmus of thyroid and thyroid ima artery can be damaged in emergency tracheostomy. Inferior thyroid veins emerge at the lower border of the isthmus form a plexus in front of the trachea and drains into brachiocephalic vein can be damaged during tracheostomy but inferior thyroid artery, a branch of thyrocervical trunk of subclavian artery lies laterally away from midline and can thus escape injury.